Catamite is:
1. Any passive victim of sodomy
2. Young passive victim of sodomy
3. Elderly passive victim of sodomy
4. Female passive victim of sodomy

Correct answer: 2. Young passive victim of sodomy

Explanation: Ans. Young passive victim of sodomy